Which of the following progesterone is used in emergency contraception?
1. Levonorgesterol
2. Microised Progesterone
3. Norgesterone
4. Depot Medroxyprogesterone acetate

Correct answer: 1. Levonorgesterol

Explanation: Levonorgestrel 0.75mg two doses12 hours apart, or 1.5mg single dose taken as soon as possible, but before 72 hours of unprotected intercourse. other emergency contraceptives- mifepristone, ulipristal (Ref.Essentials of medical pharmacology TD Tripathi 7th edition page no.322)